Which of the following increase the speed of induction with an inhalational agent?
1. Opiate premedication
2. Increased alveolar ventilation
3. Increased cardiac output
4. Reduced FIO2

Correct answer: 2. Increased alveolar ventilation

Explanation: Inhalational anesthetics are used for the induction and maintenance of general anesthesia as well as sedation The most common inhalational anesthetics are sevoflurane, desflurane, and nitrous oxide. Of these, sevoflurane is the most common because of its rapid onset of action and the fact that patients recover quickly from it. Inhalational anesthetics cause respiratory depression, a decrease in arterial blood pressure and cerebral metabolic demand, and an increase in cerebral blood flow. While side effects differ based on the substance (e.g., halothane can cause hepatotoxicity), the most common side effect is nausea.